Riboflavin is a constituent of
1. FMN
2. NAD
3. PLP
4. THF

Correct answer: 1. FMN

Explanation: Coenzymes of B-complex Vitamins* Coenzyme (abbreviation) Derived from vitamin Atom or group transferred Dependent enzyme (example) Thiamine pyrophosphate (TPP) Thiamine Aldehyde or kato Transketolase Flavin mononucleotide (FMN) Riboflavin Hydrogen and electron L-Amino acid oxidase Flavin adenine dinucleotide (FAD+) Riboflavin Hydrogen and electron D-Amino acid oxidase Nicotinamide adenine dinucleotide (NAD+) Niacin Hydrogen and electron Lactate dehydrogenase Nicotinamide adenine dinucleotide phosphate (NADP+) Niacin Hydrogen and electron Glucose 6-phosphate dehydrogenase Lipoic acid Lipoic acid Hydrogen and electron Pyruvate dehydrogenase complex Pyridoxal phopsphate (PLP) Pyridoxine Amino or keto Alanine transaminase Coenzyme A (CoA) Panthothenic acid Acyl Thiokinase Tetrahydrofolate (FH4) Folic acid One carbon (formyl, methenyl etc.) Formyl transferase Biocytin Biotin CO2 Pyruvate carboxylase methylcobalamin; Deoxyadenosyl cobalamin Cobalamin methyl/isomerisation Methylmalonyl CoA mutase